On administration of LA in an area of infection, it is not effective because of increase in
1. Cations
2. Free base
3. Uncharged base
4. None

Correct answer: 1. Cations